Treatment for dendritic ulcer includes all except:
1. Penetrating keratoplasty
2. Acyclovir
3. Steroids
4. Debridement of the edges of the ulcer

Correct answer: 3. Steroids

Explanation: Ans. C: Steroids Debridement of the edges of the ulcer with a moistened, fine cotton tipped applicators helps in reducing the load of active virus-infected cells. The standard treatment is idoxuridine drops/ trifluridine drops/ acyclovir 3% eye ointment/ 3% vidarabine ointment produces a resolution of herpes in 95% of the patients. Steroids are contraindicated in suspected cases of herpes simplex epithelial keratitis particularly in the presence of active viral replication. Penetrating keratoplasty is useful in cases with herpetic scarring where the eye has been free of activity for a year.